Complication of neck femur fracture are all except
1. Nonunion
2. Malunion
3. AVN
4. Osteoarthritis

Correct answer: 2. Malunion

Explanation: Fracture neck of femur are two types :intra-capsular and extracapsular Extracapsular fracture is also called inter-trochanteric. C/f: occasionally only complaint may be pain at groin. There is little pain or swelling. External rotation of leg, patella facing outwards. Shortening of leg Tenderness in go inactive straight leg raising not possible. Complications are 1.Nonunion-30 -40 % intracapsular fractures.due to inadequate immobilisation of fracture even with internal fixation and its poor blood supply 2.Avascular necrosis: after fracture neck, medullary blood supply and most of capsular blood supply are cut off. If blood supply is insufficient avascular necrosis of a segment or whole of head occurs. 3.Osteoarthritis: develops few years following fracture neck.it may be because of avascular deformation of the head, union in faulty alignment. Ref: Essential Orthopaedics, Maheswari & Mhaskar. Edition 9 Pg no: 137